Drug causing cataract?
1. Amikacin
2. Dexamethasone
3. Chloramphenicol
4. Penicillin

Correct answer: 2. Dexamethasone

Explanation: Ans. is 'b' i.e., Dexamethasone Corticosteroids (dexamethasone) can cause cataract. Types of Cataract Causes Posterior subcapsular Myotoic dystrophy, wilson's disease, DM,Atopic dermatitis, Down's syndrome, Corticosteroids, Busulfan, Chloroquine, Trauma, Ionizing radiation, Galactosemia, Senile cataract, Infrared/heat cataract (glass-blower's or glass worker). Anterior subcapsular Wilson's disease, DM. Down's syndrome, Trauma, Electric shock, Anticholinesterase, Amiodarone, Senile cataract, Galactosemia. Anterior capsular Voissious ring (Blunt trauma), Gold, Chlorpramazine, Nuclear Cigarette smoking, Congenital rubella, Ichthyosis, Galactosemia, Senile cataract, DM. Cortical Stickler syndrome, Senile cataract, DM Anterior capsular (Polar) Penetration of cornea (Penetrating injury. ophthalmia neonatorum), Congenital cataract Posterior capsular (Polar) Congenital cataract